Chikungunya is trasmittedb ?
1. Aedes
2. Culex
3. Mansonoides
4. Anopheles

Correct answer: 1. Aedes

Explanation: Ans. is 'a' i.e., Aedes